"Jack in the box" phenomenon is because of
1. Loss of accommodation
2. Reduced visual acuity
3. Prismatic effect
4. Spherical aberration

Correct answer: 3. Prismatic effect